False about Non - competitive antagonism
1. Drug binds to allosteric site of the enzyme
2. Drug needs to be structurally similar to substrate
3. Inhibition can not be overcome by increasing the substrate concentration
4. Km remains same

Correct answer: 2. Drug needs to be structurally similar to substrate